Which drug is contraindicated in pregnancy ?
1. Methyldopa
2. Hydralazine
3. Captopril
4. All of the above

Correct answer: 3. Captopril

Explanation: Captopril